Most common type of pathological changes seen in Rabies are
1. Meningitis
2. Cranial arteritis
3. Ventriculitis
4. Brain stem encephalitis

Correct answer: 4. Brain stem encephalitis

Explanation: Refer Robbins page no Pg 1277 Histopathologic evidence of rabies encephalomyelitis (inflammation) in brain tissue and meninges includes the following: Mononuclear infiltration Perivascular cuffing of lymphocytes or polymorphonuclear cells Lymphocytic foci Babes nodules consisting of glial cells Negri bodies